In hyperparathyroidism, all are seen except -
1. Osteopetrosis
2. Osteoporosis
3. Cysts
4. Brown tumor

Correct answer: 1. Osteopetrosis

Explanation: in hyperparathyroidism, osteoporosis occurs but no osteopetrosis in which the bone becomes harder ( Harrison 17 pg 2382)